CTEV is
1. Infective disease
2. Tumour
3. Congenital deformity
4. Metabolic abnormality

Correct answer: 3. Congenital deformity

Explanation: [C) (Congenital deformity): (203- Maheshwari 4th edition)Congenital talipes equinovarus (Idiopathic club foot)* Polygenic pattern of inheritance* Identical deformities occur with myelomeningocele (Spinabifida) and in arthrogrposisClinical Features* Foot is both turned and twisted inwards so that the sole faces posteromedially* Ankle is in equinus* Heal is inverted* Forefoot is adducted and supinated* Cavus as well* Talus may protrude on the dorsolateral surface of the foot* Heel is usually small and high* Call may be thin